The surfactant is secreted by:
1. Type 1 Pneumocyte
2. Type 2 Pneumocyte
3. Epithelial cells
4. Macrophage

Correct answer: 2. Type 2 Pneumocyte

Explanation: PneumocyteTypes of PneumocyteFunctionPneumocyte I (90-95%)Gas exchange between alveoli and blood(Refer: Ganong's Review of Medical physiology 24th edition, pg no: 624)